Freshwater swimming can lead to
1. Brucellosis
2. Leptospirosis
3. Babesiosis
4. Lassa fever

Correct answer: 2. Leptospirosis

Explanation: Leptospirosis Leptospires excreted in urine and can survive in water for many months, water is an important vehicle in their transmissionBabesiosis Vertical transmission, blood transfusion, or tick bitebrucellosisOccupational or domestic exposure to infected animals or their products by ingestion, inhalation, or mucosal or percutaneous exposureLassa feverAerosols from infected rodents, capturing or eating these animals, close person to person contact(ref: Harrison's 18/e p1393)